When a lateral border of tongue consists of indentation of teeth, it is known as:
1. Crenated tongue
2. Cribriform tongue
3. Scrotal tongue
4. Roughened tongue

Correct answer: 1. Crenated tongue